During a surgery a patient developed muscle rigidity, increased heart rate and hypercarbia. Emergence of malignant hyperthermia is suspected. The agent which precipitates this condition most commonly is:
1. Succinyl choline
2. Dantrolene sodium
3. Gallamine
4. Pancuronium

Correct answer: 1. Succinyl choline

Explanation: Malignant hyperthermia (MH) is commonly triggered by the administration of anesthetic agents; the commonest trigger is the depolarizing muscle relaxant succinylcholine alone or in conjunction with a volatile agent such as halothane. The earliest signs of MH during anesthesia are succinylcholine-induced masseter muscle rigidity (MMR) or other muscle rigidity, tachycardia, and hypercarbia (due to increased CO2 production). Hyperthermia may be a late sign, but when it occurs, core temperature can rise as much as 1degC every 5 min. The treatment of choice is intravenous dantrolene. Drugs known to trigger malignant hyperthermia: Inhaled general anesthetics Ether Halothane Methoxyflurane Enflurane Isoflurane Desflurane Sevoflurane Nondepolarizing muscle relaxants Succinylcholine Ref: Butterworth IV J.F., Butterworth IV J.F., Mackey D.C., Wasnick J.D., Mackey D.C., Wasnick J.D. (2013). Chapter 11. Neuromuscular Blocking Agents. In J.F. Butterworth IV, J.F. Butterworth IV, D.C. Mackey, J.D. Wasnick, D.C. Mackey, J.D. Wasnick (Eds), Morgan & Mikhail's Clinical Anesthesiology, 5e.Ether